All of the following forces are involved in antigen antibody reaction, EXCEPT:
1. Vander Waal's forces
2. Electrostatic bond
3. Hydrogen bond
4. Covalent bond

Correct answer: 4. Covalent bond

Explanation: Answer is D (Covalent bond) : The combination between antigen and antibody is effected during the primary stage of an Ag-Ab reaction. This reaction is essentially reversible and effected by the weaker intermolecular forces such as: Vander Waal's, Hydrogen bonds, Ionic bonds and not by the firmer covalent bonds. Frequently asked questions on immunoglobulins: Immunoglobulin to fix complements classical pathway Immunoglobulin to fix complements alternate pathway Immunoglobulin with maximum serum conc. Immunoglobulin with minimum serum conc. Immunoglobulin that in heat labile Immunoglobulin in primary immune response Immunoglobulin in secondary immune response Immunoglobulin with maximum molecular weight Immunoglobulin present in milk Immunoglobulin with maximum sedimentation coefficient Immunoglobulin with shortest 1/2 life Immunoglobulin in seromucinous glands Immunoglobulin resp. for hypersensitive pneumonitis Immunoglobulin mediating the prausnitz Kustner reaction Homocytotropism is seen in which Ig IgG & IgM (IgM > IgG)Q IgAQ & IgDQ IgGQ IgEQ IgEQ IgMQ IgGQ IgMQ IgAQ & IgGQ IgMQ IgEQ IgG & IgAQ IgGQ IgEQ IgEQ